Polyhydroaminosis is volume of amniotic fluid more than:
1. 1000 ml
2. 2000 ml
3. 3000 ml
4. 4000 ml

Correct answer: 2. 2000 ml

Explanation: Ans. B: 2000 ml Because the normal values for amniotic fluid volume increase during pregnancy, the actual volume that constitutes polyhydramnios is dependent on the gestational age of the fetus. Polyhydramnios usually refers to amniotic fluid volumes greater than 2000 ml. The range of fluid values diagnostic of oligohydramnios is not as wide as that for polyhydramnios. Less than 200 ml, or when amniotic fluid index is less than 5 cm, is usually considered to be indicative of oligohydramnios.